Not a molecular motor:
1. Kinesin
2. Dynein
3. Actin
4. Myosin

Correct answer: 3. Actin

Explanation: Motor proteins: Molecular motors include the proteins: myosin kinesin dynein They move along a track- microtubules or microfilaments - and pull larger structures such as vesicles, fibers, or particles. Such movement can be used for intracellular transport or movement of the cell's entire framework.